Blood pressure is defined as the product of:
1. Systolic pressure x pulse
2. Diastolic pressure x pulse rate
3. Pulse pressure x pulse rate
4. Cardiac output x peripheral resistance

Correct answer: 4. Cardiac output x peripheral resistance

Explanation: D i.e. Peripheral resistance x cardiac output The overall blood flow in circulation of adult at rest is about 5 liter/min which equals to cardiac output because it is the amount of blood pumped by heart per unit time. So Blood pressure = Cardiac output x peripheral resistanceQ or Blood flow (Q) x resistance (R) Venous returnQ = MSFP -- RAP MSFP = Mean systemic filling pressure = Right RAP atrial pressure RVR RVR = Resistance to venous return